In circulatory biomechanics which of the following is true?
1. Blood viscosity is increased in anemia
2. Blood viscosity is decreased in polycythemia
3. Cardiac output is increased in anemia
4. Cardiac output is decreased in Beri-Beri

Correct answer: 3. Cardiac output is increased in anemia

Explanation: Ans. is 'c' i.e., Cardiac output is increased in anemia Cardiac output is increased in conditions which cause decrease in peripheral vascular resistance :- Exercise AV fistula or shunt Severe anemia Thyrotoxicosis Wet beri-beri About other options Blood viscosity is low in anemia and high in polycythemia.